Indicator solution in Horrock’s Apparatus contains
1. Ortho-toulidine
2. Bromocresol purple
3. Ortho-toulidine arsenite
4. Starch iodide

Correct answer: 4. Starch iodide

Explanation: Indicator in Horrock’s apparatus: Starch iodide.
Indicator in Presumptive coliform test (MPN Multiple Tube Method): Bromocresol purple.